Commonest degenerative changes observed in uterine myoma is :
1. Red degeneration
2. Hyaline degeneration
3. Malignant change
4. Haemorrhage

Correct answer: 2. Hyaline degeneration

Explanation: Hyaline degeneration